All are causes of sensorineural deafness except
1. Old age
2. Acoustic neuroma
3. Ototoxic drugs
4. Rupture of tympanic membrane

Correct answer: 4. Rupture of tympanic membrane

Explanation: Acquired causes of sensorineural deafness: Infections of labyrinth Trauma to labyrinth Noise induced hearing loss Ototoxic drugs Presbycusis Meniere's disease Acoustic neuroma Sudden hearing loss Systemic disorders Any disease which interferes with the conduction of sound to reach cochlea causes conductive deafness which occurs in case of rupture of tympanic membrane Ref: Dhingra 7e pg 34.